Feature of shock lung is
1. Diffuse alveolar damage
2. Usual interstitial infiltrates
3. Organizing pneumonia
4. Bronchiolitis

Correct answer: 1. Diffuse alveolar damage

Explanation: In ARDS, the presence of alveolar and interstitial fluid and the loss of surfactant can lead to a marked reduction of lung compliance. Without an increase in end-expiratory pressure, significant alveolar collapse can occur at end-expiration,with consequent impairment of oxygenation. Ref Davidson edition23rd pg 199